All of the following are germ cell tumours except?
1. Mesonephroid tumors
2. Teratoma
3. Endodermal sinus tumour
4. Dysgerminoma

Correct answer: 1. Mesonephroid tumors

Explanation: Germ cell tumours include Teratoma, Dysgerminoma, Endodermal sinus tumour, Embryonal carcinoma, Polyembryoma, Choriocarcinoma and mixed forms. Mesonephroid tumour is an epithelial tumour. It is also known as clear cell carcinoma. It is an uncommon tumour of ovary. It is highly malignant. Ref: Shaw's Textbook of Gynaecology, 18th edition, p373-376